The main site of bicarbonate reabsorption is
1. Proximal convoluted tubule
2. Distal convoluted tubule
3. Cortical collecting duct
4. Medullary collecting duct

Correct answer: 1. Proximal convoluted tubule

Explanation: Ans. (a) Proximal convoluted tubule(Ref: Ganong, 25th ed/p.679)Proximal convoluted tubule (PCT) reabsorbs,2/3rd (67%) of filtered sodium chloride (NaCl)2/3rd (67%) of filtered water2/3rd (67%) of filtered potassium (K+)2/3rd (67%) of filtered urea70 % of filtered calcium80 % of Filtered phosphate and bicarbonate100% of filtered glucose and amino acids